All of the following are used for myoclonic seizures except:
1. Sodium valproate
2. Zonisamide
3. Carbamazepine
4. Topiramate

Correct answer: 3. Carbamazepine

Explanation: *'Carbamazepine and phenytoin can aggravate juvenile myoclonic epilepsy' Drugs useful for myoclonic seizures are: *Valproic acid (Drug of choice) *Benzodiazepines *Zonisamide *Levetiracetam *Topiramate *Lamotrigine REF : KATZUNG 14TH ED.